Brain abscess in cyanotic heart disease is commonly, located in
1. Cerebellar hemisphere
2. Thalamus
3. Temporal lobe
4. Parietal lobe

Correct answer: 4. Parietal lobe

Explanation: The most common microbe in children with cyanotic congenital heart disease was of the Streptococcus milleri group (52%). Computerized tomography confirmed the diagnosis and the most common location of the abscess was the parietal lobe of the cerebral hemisphere Ref Harrison20th edition pg 2567